Myoclonus in children is best treated by:
1. Clonazepam
2. Sodium Valproate
3. Phenobarbitone
4. Ethosuccimide

Correct answer: 2. Sodium Valproate

Explanation: Myoclonic and atonic seizures-control is often incomplete, but valproate is the drug of choice. Myoclonic Seizures. Myoclonic seizures are characterized by brief, jerking spasms of a muscle or muscle group. They often occur with atonic seizures, which cause sudden muscle limpness. The word "myoclonic" combines the Greek prefix for muscle -- "myo" -- with "clonus," which means twitching. REF: KD TRIPATHI 8TH ED.